Prolactin secretion is inhibited by -
1. Dopamine antagonist
2. GABA
3. Neurophysin
4. Bromocripitine

Correct answer: 4. Bromocripitine

Explanation: Ans. is 'd' i.e., Bromocriptine o Prolactin is under predominant inhibitory control of hypothalamus through prolactin releasing inhibitory hormone (PRIH). o PRIH is a dopamine that acts on pituitary lactotrope D, receptor. So, Dopaminergic agonists decrease plasma prolactin levels. These agonists are : Dopamine Cobergoline Bromocriptine Apomorphine Dopaminergic antagonists and DA depleters will increase prolactin level Dopaminergic antagonists are : Dopamine depleters are : o Chlorpromazine o Reserpine o Haloperidol o Methyl dopa o Metoclopramide